All of the following are true about the larynx EXCEPT:
1. All intrinsic muscles are supplied by the recurrent laryngeal nerve
2. Cricothyroid is supplied by the external laryngeal nerve
3. Posterior cricoarytenoid abduct the vocal cords
4. Lymphatic  drainage  of  the  larynx  is  to  the  deep  cervical nodes

Correct answer: 1. All intrinsic muscles are supplied by the recurrent laryngeal nerve

Explanation: All intrinsic muscles of larynx are supplied by the recurrent laryngeal nerve except cricothyroid which is supplied by the external laryngeal nerve.